Pulse deficit may be seen in all of the following, Except :
1. Ventricular Premature Contraction (VPC)
2. Bradyarrhythmias
3. Atrial Fibrillation (AF)
4. Tachyarrhythmias

Correct answer: 2. Bradyarrhythmias

Explanation: Answer is B (Bradyarrhythmias) Pulse deficits are seen in Tachyarrhythmias and not in Bradyarrhythmias. Pulse deficit refers to the difference between the radial pulse rate and the heart rate counted by auscultation (Apical Ventricular Rate). Pulse deficit is produced when ventricular contractions are preceded by short diastoles such that poor ventricular filling results in insufficient stroke volume to transmit the pressure wave out to the radial pulse. The radial pulse rate is always lower than the ventricular pulse rate. The most common cause of pulse deficit is atrial fibrillation and pulse deficit has traditionally been believed to be a classical bedside sign for diagnosis of atrial fibrillation. Pulse deficit may however be produced by any tachyarrhythrnia (fast heart rate) or Extra-systoles (Premature Ventricular Contractions). Multifocal Premature atrial contractions (PAC) may also produce small pulse deficits. Typically Pulse deficits generated by Multifocal PVC or PAC are small (<10/min) while those generated by Atrial Fibrillation are larger (>10). Pulse deficits of more than 10 per minute are frequent in Atrial Fibrillation with a fast heart rate. Major Causes of Pulse Deficit (Tachyarrhythmias) Atrial fibrillation Premature Ventricular Contraction Premature Atrial Contractions (May be seen)